Primary Tuberculosis most commonly involves
1. Lungs
2. Liver
3. Brain
4. Intestine

Correct answer: 1. Lungs

Explanation: Answer is A (Lungs): The most common primary site for primary tuberculosis is the Lung. 'Primary site is the Lung in upto 95% of cases' - Oski's Pediatrics 'For both primary and reactivation tuberculosis the lungs are the most commonly affected site.' Most common primary site for Primary Tuberculosis is LungsQ Most common site for Post-Primary Reactivation Tuberculosis is Lune Most common primary site for congenital tuberculosis is Liverdeg Most common site /organ involved in congenital tuberculosis in Lune Principles of Pulmonary Medicine (Elsevier) 547107 Primary tuberculosis: It is the first infection with tubercle bacilli in individuals who have not been previously exposed to the organisms Seen in children Q Primary complex is characteristic Primary (Ghon) complex Unilateral enlarged hi lar lymph nodes Q Ghon focus Epitheloid-cell granulomatous inflammation (consolidation) at site of parenchymal infection. Usually small and subpleural most commonly located under pleura in lower part of upper lobe Usually a symptomatic Q or manifested by a mild tlu like illness at time of tuberculin conversion Lesion heal by fibrosis Q and may calcify Q Radiological evidence of healed primary infection may or may not be present Q Effects of primary tuberculosis Tuberculin positivity Q Partial immunity to tuberculosisQ: individual requires a higher dose to be reinfected by tubercle bacilli Presence of dormant tubercle bacilli